For a distended knee joint which of the following position is most comfortable?
1. Full extension
2. 30deg flexion
3. 60deg flexion
4. 90deg flexion

Correct answer: 2. 30deg flexion

Explanation: In 30deg flexion, knee joint has maximum capacity and pressure of contained fluid or blood is minimum and consequently, there is the least pain. The capacity of knee joint decreases and pain thereby increases when the knee is fully extended or flexed more than 30deg-45deg. Ref: Maheshwari 9TH ED pg 149.